Jone's fracture is:
1. Fracture of base of 5th metatarsal
2. Fracture of base of 2nd metatarsal
3. Fracture of base of 1st metacarpal
4. Fracture of head of 5th metacarpal

Correct answer: 1. Fracture of base of 5th metatarsal

Explanation: Fig. Jone's fracture- Occurs at the base of fifth metatarsal at metaphysio-diaphyseal junction and Pseudojones/Dancers Fractures is an avulsion fracture of the tip of 5th metatarsal 5th metatarsal is the M/C metatarsal to undergo traumatic fracture. Base of 5th metatarsal is divided into three zones- Zone 1. Avulsion fractures (Pseudo Jones fracture/ dancer's fracture) of peroneus brevis(not longus) tendon. Zone 2. Fractures at the metaphysealdiaphyseal junction (Jone's fracture) Zone 3. Stress fractures of the proximal 1.5 cm of the shaft of the fifth metatarsal.